True about Heliox – a) Helium is an inert gasb) Less viscous than airc) Higher density than aird) Reduces work of breathinge) Mixture of He & O2
1. acd
2. ade
3. abd
4. ad

Correct answer: 2. ade

Explanation: Heliox is a mixture of helium (80%) and oxygen (20%). Heliox has a similar viscosity to air but a lower breathing and lowers airway resistance.
Helium is an inert gas.